Hypochloremia, hypokalemia and alkalosis are seen in?
1. Congenital hypertrophic pyloric stenosis
2. Hirschsprung's disease.
3. Esophageal atresia
4. Jejunal atresia

Correct answer: 1. Congenital hypertrophic pyloric stenosis

Explanation: Ans is 'a' i.e. Congenital hypertrophic pyloric stenosis Biochemical abnormality in congenital hypertrophic pyloric stenosis is a regular feature of AIIMS and AI examinations it has been repeated several times. The biochemical abnormalities seen are: ( I ) Hypokalemia (3) Alkalosis and (2) Hypochloremia (4) Paradoxical aciduria